An increase in heart rate and renin release seen in patients of CHF can be overcome by which of the following drugs -
1. Minoxidil
2. Metoprolol
3. Metolazone
4. Milrinone

Correct answer: 2. Metoprolol

Explanation: Ans. is 'b' i.e., Metoprolol orT Beta-blocker (metoprolol) prevent reflex tachycardia as well as renin release.